Which of the following structures does not cross the midline?
1. Left gonadal vein
2. Left renal vein
3. Accessory hemiazygous vein
4. Root of the mesentry

Correct answer: 1. Left gonadal vein

Explanation: Left gonadal vein does not cross the midline The left gonadal vein formed from the pampiniform plexus of veins drains into the renal vein. The left renal vein is longer than the right renal vein and it crosses the midline anterior to aorta to drain into the inferior vena cava. The right renal vein does not cross the midline. The accessory hemiazygous vein at T7 vertebrae level crosses the midline to drain into the azygous vein. The root of the mesentry extends across a line from the duodenojejunal flexure on the left side to the sarcoiliac joint on the right side. This spans a length of 15 cm and crosses the midline in its course. Ref: Gray's Anatomy 41st edition Pgno: 1244-1246